Which of the following is not an intracellular enzyme?
1. Enzymes of oxidative phosphorylation
2. Salivary amylase
3. Glycogen synthase
4. None of the above

Correct answer: 2. Salivary amylase

Explanation: Intracellular enzymes:
Cytoplasm: Enzymes of glycolysis (conversion of glucose and glycogen to pyruvic and lactic acid).
Mitochondria: Enzymes of citric acid cycle and oxidative phosphorylation.
Lysosomes: Hydrolytic enzymes.